Sterilization procedure with maximum chances of reversal is:
1. Pomeroy's tubal ligation
2. Irwing's technique
3. Laparoscopic tubal ligation with silastic bands
4. Laparoscopic tubal ligation with clips

Correct answer: 4. Laparoscopic tubal ligation with clips

Explanation: Reversal of tubal ligation